Which of these is FALSE about laparoscopic sterilisation?
1. It is used for interval ligation
2. Unipolar cautery has less morbidity than bipolar cautery
3. Commonly used procedures are rings and clips
4. Laparotomy is preferred over laparoscopy in patients with associated abdominal pathology

Correct answer: 2. Unipolar cautery has less morbidity than bipolar cautery

Explanation: Laparoscopic ligation is commonly used for interval ligation Electrocoagulation is used for destruction of a segment of tube and canbe accomplished with either unipolar or bipolar electrical current. Although unipolar electrocoagulation has the lowest long-term failure rate it also has the highest serious complication rate. Can be done by rings, clips, electrocoagulation or ligatures Laparoscopy should be avoided in patients with co morbid abdominal pathologies that require exploration by laparotomy.